Non-selective beta blocker used in glaucoma:
1. Timolol
2. Metoprolol
3. Betaxolol
4. Propranolol

Correct answer: 1. Timolol

Explanation: Ans. A. TimololTimolol, betaxolol and levobunolol are the beta blockers given in open angle glaucoma. They decrease the synthesis of aqueous humor and thus decreasing the intraocular pressure. Out of the three drugs, Timolol is non-selective beta blocker.